Most common cause of PPH is -
1. Atonic PPH
2. Traumatic PPH
3. Retained tissues
4. Bloodcoagulopathy

Correct answer: 1. Atonic PPH

Explanation: Ans. is 'a' i.e., Atonic PPH o Postpartum haemorrhage - Related to the amount of blood loss in excess of 500 ml following birth of the baby (WHO).Causes:# Atonic (Most common)# Traumatic# Retained tissues# Blood coagulopathy.# Atonic uterus - Atonicity of the uterus is the most common cause of postpartum haemorrhage.o Common causes of Uterine atonicity:# Grand multipara# Over - distension of the uterus# Malnutrition and anaemia# Prolonged labour# Anaesthesia# Uterine fibroid - causes imperfect retraction mechanically.